Which condition is characterized by lesions in the central nervous system that manifests as various types of neuromuscular deficiency?
1. Down syndrome
2. Learning disability
3. Hyper kinesis
4. Cerebral palsy

Correct answer: 4. Cerebral palsy